All are features of Jansen's disease, except:
1. The disorder leads to short-limbed dwarfism
2. High parathormone levels
3. Hypophosphatemia
4. Hypercalcemia

Correct answer: 2. High parathormone levels

Explanation: Mutations in the PTH/PTHrP receptor is the cause of this rare autosomal dominant syndrome. The disorder leads to short-limbed dwarfism due to abnormal regulation of chondrocyte maturation in the growth plates of the bone. In adult life, there are numerous abnormalities in bone, including multiple cystic resorptive areas resembling severe hyperparathyroidism. Hypercalcemia and hypophosphatemia with undetectable or low PTH levels are typically seen. Ref: Harrisons Principles of Internal Medicine, 18th Edition, Page 3105.